Hemorrhagic cystitis is caused by -
1. Busulphan
2. Cisplatin
3. Cyclophosphamide
4. Doxorubicin

Correct answer: 3. Cyclophosphamide

Explanation: Ans. is 'c' i.e., Cyclophosphamide Hemorrhagic cystitis is commonly associated with CyclophosphamideCyclophocphamide is the most common cause of hemorrhagic cystitis.The drug Cyclophosphamide itself is not toxic,The drug toxicity is due to its hepatic conversion to the metabolite "acrolein" which is excreted in the urine and causes damage to the bladder mucosaIt is believed that urothelial damage occurs due to direct contact of the bladder wall with acrolein which causes edema, ulceration, neovascularization, hemorrhage and necrosisThus patients receiving cyclophosphamide should always receive good hydration and a foley's catheter is often placed to ensure immediate drainage of the bladder.The hemorrhagic cystitis caused by cyclophosphamide can be reduced in intensity or prevented by intravenous administration of"MESNA" MESNA is a thiol compound. The free (Thiol) groups of MESNA combine directly with double bond of acrolein ot form a stable nontoxic compound. MESNA is given orallyQ.Cyclophosphamide induced hemorrhagic cystitis appear to be dose related and is most prevalent in patients who are dehydrated and those receiving intravenous cyclophosphamide.